Choking is associated with which of the following firearm?
1. Revolver
2. Pistol
3. Shotgun
4. Rifle

Correct answer: 3. Shotgun

Explanation: Ans. c. Shotgun (Ref: Parikh 6/e p4.33; Reddy 33/e p210, 29/e p189)Choking is the constricting device present at the muzzle end of the shotgun.ChokeIt is constricting device at the muzzle end of shotgunQIt lessens the rate of spread of shot after it leaves the muzzleQ.A choke is the last few inches of a shot gunIt influences the spread of the shot pelletsQ.Four main types of chokesFull: Full will keep the shots closer together and put more shot pellets into the target.ModifiedImproved cylinderSkeet: Skeet is the least amount of choke and allows the shot to spread more. FirearmsRifledSmooth-Bored* Bore is having a number of spiral grooving, which runs parallel to each other but are twisted spirally* Rifling causes bullet to rotate or spin about longitudinal axisQ* Spinning gives gyroscopic stability to the bullet. This increases the accuracy and also imparts greater power of penetrationQ * Example: Rifle, revolver, pistol etc* Interior of the barrel is smoothQ* When the entire barrel from breech to muzzle is of the same diameter it is called as cylinder bore* When the distal 7-10 cm is narrowed, this is known as choking or choke-boreQ.* Some smooth barreled firearms have small portion of their bore near the muzzle end rifled, which are called as 'paradox guns'Q* Example: Shotgun, musket, country made guns